Muscles responsible for accommodation are innervated by nerves passing through.
1. Pre-tectal nucleus
2. Edinger-westphal nucleus
3. Nucleus ceruleus
4. Dorsal nucleus

Correct answer: 2. Edinger-westphal nucleus

Explanation: Ans. (b) Edinger-westphal nucleusRef. Parson's 22/e, p. 35Pathway of accommodation reflex: The afferent impulses extend from the retina to the parastriate cortex via the optic nerve, chiasma, optic tract, lateral geniculate body, optic radiations, and striate cortex. From the parastriate cortex the impulses are relayed to the Edinger- Westphal nucleus of both sides via the occipito-mesencephalic tract and the pontine centre for convergence.